Which of the following is a feature of Vit B12 deficiency anemia?
1. Hypersegmented neutrophils
2. Macro-ovalocytes
3. Megaloblastic anemia
4. All of the above

Correct answer: 4. All of the above

Explanation: Clinical manifestations of Vitamin B12 deficiency: Haematological: Macro-ovalocytes, Hypersegmentation of neutrophils. Neurological: Demyelination in peripheral nerves and spinal cord B12 deficiency leads to megaloblastic anemia due to folate trap The peripheral smear given below shows hypersegmented neutrophil and macro-ovalocytes